Mediators of inflammation are all except -
1. TNF
2. IFN
3. Myeloperoxidase
4. Prostaglandins/Interleukins

Correct answer: 3. Myeloperoxidase

Explanation: Mediators of inflammation:-
The vascular and cellular reactions of both acute and chronic inflammation are mediated by chemical factors known as a mediator of inflammation.
Mediators originate either: -
1. From plasma
Complement proteins, Bradykinin
2. From cells
Cells derived mediators may be performed and are stored in secretory granules or they may be synthesized de novo in response to a stimulus.
Preformed mediators → Histamine, Serotonin, Lysosomal enzymes.
Newly synthesized → Prostaglandins, Leukotrienes, platelet activating factors, nitric oxide, reactive oxygen species, cytokines (TNF, IL-1).
Myeloperoxidase is not an inflammatory mediator. It is an enzyme of neutrophil which catalyzes the conversion of Cl, Br, and T, and SCN to the corresponding acids (HOCl, HOBr etc.). These acids are potent oxidants and help in destroying the invading organisms.
Mediators of Acute inflammation